Following an eye trauma, a patient presents 4 days later with proptosis and pain in the eye. On examination, he has chemosis, conjunctival congestion and extraocular muscle palsies. The investigation of choice to arrive at a diagnosis is:
1. MRI
2. CECT
3. MR angiography
4. Intra arterial digital subtraction angiography

Correct answer: 4. Intra arterial digital subtraction angiography

Explanation: Ans. d. Intra arterial digital subtraction angiography Symptoms ofproptosis and pain in the eye following an eye trauma with chemosis, conjunctival congestion and extraocular muscle palsies on examination is typical picture of post traumatic carotico-cavernous fistula. The investigation of choice to arrive at a diagnosis is intra-arterial digital subtraction angiography.